Subclinical infection is seen in all except
1. Mumps
2. Poliomyelitis
3. Measles
4. Rubella

Correct answer: 3. Measles